Myoblasts of diaphragm develops from which somites -
1. Cervical 1-3
2. Cervical 2-4
3. Cervical 3-5
4. Cervical 5-7

Correct answer: 3. Cervical 3-5